Most common hereditary cause of intellectual disability
1. Fragile X syndrome
2. Down's syndrome
3. Frederich's ataxia
4. Edward syndrome

Correct answer: 1. Fragile X syndrome

Explanation: Fragile X-syndrome is the most common "hereditary" cause of intellectual disability.
Ovarall most common cause : "Down's syndrome".